Any restriction or inability to perform an activity in a range considered normal for a human being?
1. Disease
2. Impairment
3. Disability
4. Handicap

Correct answer: 3. Disability